Association fibers include all of the following except-
1. Corona Radiata
2. Arcuate fasciculus
3. Cingulum
4. Uncinate fasciculus

Correct answer: 1. Corona Radiata

Explanation: Ans. is 'a' i.e., Corona Radiata * White matter of cerebrum hemisphere is divisible into 3 fiber systems1. Association fibers : Connect the one functional area of one cerebral hemisphere to other in the same cerebral hemisphere.2. Projection fibers : Connect cerebral cortex to other parts of brain and spinal cord.3. Commissural fibers: Connect same areas between the two cerebral hemispheres. Corpus callosum is largest of these.Association fibersProjection fibers Commissural fibersa) Cingulumb) Superior longitudinal fasciculusc) Inferior longitudinal fasciculusd) Uncinate fasciculuse) Arcuate fasciculusf) Fonixg) Occipitofrontal fasciculusa) Fimbriab) Fornixc) Corona radiatad) Internal capsule : It is a compact V-shaped band of neocortical projection fibers.1.Anterior commissure2.Hippocampal commissure3.Habenular commissure4.Posterior commissure5.Corpus callosum